NADPH is required for
1. Gluconeogenesis
2. Glycolysis
3. Fatty acids synthesis
4. Glycogenolysis

Correct answer: 3. Fatty acids synthesis

Explanation: Fatty acid synthesis 

Cofactor requirements for fatty acid synthesis include NADPH, ATP, Mn+2, biotin (a vitamin B) and HCO3- (as a source of CO2).
NADPH is also required for reductive synthesis of cholesterol and steroids.